Dysmetria is due to lesion of
1. Midbrain
2. Pons
3. Medulla
4. Cerebllum

Correct answer: 4. Cerebllum

Explanation: Answer is D (Cerebllum): Dysmetria is a typical feature of cerebellar dysfunction / disease. Dysmetria refers to errors in judging distance and gauging the distance, speed, power and direction of movement. It refers to inaccuracy of movement in which the desired target is either unde- reached (hypometria) or over-reached (hypermetria). Dysmetia is feature of cerebellar disease / dysfunction and is evident on finger chase' or 'toe to finger' tests. Features of Cerebellar Disease / Dysfunction Dysmetria (Inaccuracy of movement, disturbance of rate, range & force of movement) Dysarthria (Ataxic dysarthria results from disruption of timing, force, range and direction of movement needed to maintain normal articulation) Ataxia (unsteady to stand or sit without support) Incoordination Pastpointing Intention tremor (Inability to coordinate fine motor activity) Dysdiadokinesia (Inability to perform rapid lternating movements) Hypotonia Cerebellar Nystagmus